Best test for determining eradication of H.Pylori infection:
1. Urease test
2. Breath urea test
3. Tissue biopsy
4. Serum ELISA

Correct answer: 2. Breath urea test

Explanation: Tests Commonly Used to Detect Helicobacter pylori. Invasive (Based on Endoscopic Biopsy) Non-invasive 1. Biopsy urease: Quick, simple 2.Histology 3.Culture: Permits determination of antibiotic susceptibility. 1. Serology: Inexpensive and convenient; Cannot be used for early follow-up after treatment 2. 13-C urea breath test. Inexpensive and simpler than endoscopy; useful for follow-up after treatment 3. Stool antigen test: Inexpensive and convenient; Useful for screening